True regarding breath holding spells is all except –
1. Antiepileptic treatment is necessary
2. Atropine is sometimes used
3. Attacks of cyanosis can occur
4. Occurs between 6 months to 5 years

Correct answer: 1. Antiepileptic treatment is necessary